Which of the following is an aseptate fungus
1. Aspergillus
2. Candida
3. Nocardia
4. Rhizopus

Correct answer: 4. Rhizopus

Explanation: Aspergillus - septate hyphae.
Candida - pseudohyphae.
Nocardia is a bacterium.